Transport of ADP in and ATP out of mitochondria is inhibited by
1. Atractyloside
2. Oligomycin
3. Rotenone
4. Cyanide

Correct answer: 1. Atractyloside

Explanation: "Atractyloside inhibits oxidative phosphorylation by inhibiting the transporter of ADP into and ATP out of the mitochondrion".